Nulliparity and late menopause are risk factors for which of the following group of diseases:
1. Cervical cancer and endometrial hyperplasia
2. Ovarian cancer and endometrial polyp
3. Vulvar cancer and endometrial cancer
4. Endometrial cancer and breast cancer

Correct answer: 4. Endometrial cancer and breast cancer

Explanation: Ans. D. Endometrial cancer and breast cancerNulliparity and late menopause are factors associated with increased exposure to estrogen, hence they are operative in endometrial hyperplasia, Unopposed estrogen stimulation is not operative in endometrial polyps, cervical cancer, or vulvar cancer